A woman has previously have 2 anencephalic babies. What is her RISK of having a third baby with anencephaly?
1. 0%
2. 10%
3. 25%
4. 50%

Correct answer: 2. 10%

Explanation: The risk of having anencephalic baby in this patient is 13%. The recurrence risk after having one anencephalic baby is 5% and is 13% after having two affected children. Recurrence risk can be reduced with the use of folic acid. Anencephaly isone of the most frequent congenital malformation of the brain. In this condition large portions of scalp, cranial bones, brain including both cerebral cortex and white matter are missing. Only hemmorhhagic nubbin of nerves, glial and connective tissue remains. Brainstem, cerebellum and spinal cord are present but they are malformed. Most common causes are chromosomal anomalies, maternal hyperthermia, deficiencies of folate, zinc and copper. This condition can be detetced by elevated maternal serum levels of alpha feto protein and acetyl cholinesterase. Ref: Fernando Arias - High Risk Pregnancy, 2nd Edition ; Text Book of Pediatrics By Nelson, 16th Edition, Page 1806